The branches of first part of subclavian artery are all except
1. Vertebral artery
2. Thyrocervical trunk
3. Internal thoracic artery
4. Costocervical trunk

Correct answer: 4. Costocervical trunk

Explanation: The branches of subclavian artery are: 1.Vertebral artery 2.Thyrocervical trunk which divides into; inferior thyroid, suprascapular, transverse cervical arteries 3.Internal thoracic artery 4.Costocervical trunk which divides into; superior intercoastal, deep cervical arteries 5.Dorsal scapular artery. Ref BDC volume3,sixth edition pg 149